Bevacizumab is used in :
1. Diabetic retinopathy
2. Glaucoma
3. Diabetic nephropathy
4. Neuropathy

Correct answer: 1. Diabetic retinopathy